Who gave the model for demineralization & remineralization of white spot lesion?
1. Miller
2. Moreno
3. Martin
4. Massler

Correct answer: 2. Moreno

Explanation: The physiochemical process of white spot lesions was difficult to understand until the Moreno model was described. In this model, acids formed by cariogenic bacteria dissolve the surface as well as subsurface enamel. The calcium and phosphate ions from the subsurface dissolution diffuse downwards toward the surface and reprecipitate on the surface making the enamel surface appear unaltered.